Rabies can be transmitted by all EXCEPT:
1. Bite of rabid dog
2. Bite of bats
3. Bite of fox
4. Bite of squirrel

Correct answer: 4. Bite of squirrel

Explanation: Ans. D i.e. Bite of squirrel Bats and foxes are most common rabies carrier in US